Which is not a connective tissue?
1. Blood
2. Bone
3. Cartilage
4. Muscle

Correct answer: 4. Muscle

Explanation: Connective tissues include areolar tissue; adipose tissue;myxomatous tissue;reticular tissue;cartilage and bone BD CHAURASIA Handbook of General Anatomy Fourth edition Pg no 196